Double based smokeless gun powder consists of
1. Nitrocellulose plus nitroglycerine
2. Nitrocellulose plus sulphur
3. Potassium nitrate plus nitroglycerine
4. Potassium nitrate plus charcoal

Correct answer: 1. Nitrocellulose plus nitroglycerine

Explanation: Ans. a. Nitrocellulose plus Nitroglycerine Gun-Powder Smokeless Powder Nitrocellulose (gun cotton)deg Nitrocellulose and Nitroglycerine (double base)deg Smoke producing powders Black Powder: It is described in FG, FFG, FFFG and so on depending on the size of the grains. The finer and faster burning grains have more numbers of Fs. It contains PCSdeg Potassium nitrate (75%)deg Charcoal (15%)deg Sulphur (10deg/0)deg Pyrodex: PCS Potassium perchlorate Sodium benzoate, Dicyandiamide, Dextrin wax Semismokeless powder 80% of black and 20% of smokeless powder